Fins in casting are seen
1. Round margin in casting
2. Too Long heating
3. Air bubbles on wax
4. Cracking of investment

Correct answer: 4. Cracking of investment